All the following regarding histoplasmosis are true except -
1. Very rare in patients with AIDS
2. Bone marrow is involved
3. Gomori Methenamine silver stain used
4. Dimorphic fungi

Correct answer: 1. Very rare in patients with AIDS